Which is not included in the Treatment of femoral artery aneurysm
1. Ultrasound guided compression of the neck of aneurysm
2. Thrombin injection
3. Bypass graft repair
4. CT scan

Correct answer: 4. CT scan

Explanation: . Ans: (d) Duplex color ultrasound is inv of choice to confirm diagnosis of peripheral aneurysms. Pseudo aneurysm of femoral artery due to arterial punctures successfully treated using US guided compression of neck of aneurysm with/ without thrombosis by thrombin injection.